"Turkish Saddle" refers to
1. Hypothalamus
2. Pituitary gland
3. Amygdaloid body
4. Uncus

Correct answer: 2. Pituitary gland

Explanation: Turkish Saddle refers to sella turcica, which is the seat for pituitary gland. The pituitary gland sits in a little cup-shaped bone (the sphenoid) which actually looks quite like a saddle: The name the classical anatomists gave it is the sella turcica, presumably because the classical Turkish saddle was designed to cup the rider's bottom. ref - researchgate.net